Prostatic calculi is made up of ?
1. Calcium carbonate
2. Calcium oxalate
3. Calcium phosphate
4. Triple phosphate

Correct answer: 3. Calcium phosphate

Explanation: Prostatic calculi are of two varieties: endogenous, which are common, and exogenous, which are comparatively rare. An exogenous prostatic calculus is a urinary (commonly ureteric) calculus that becomes arrested in the prostatic urethra. Endogenous prostatic calculi are usually composed of calcium phosphate combined with about 20% organic material.Reference : page 1353 Bailey and Love's short practice of surgery 25th edition